In Ochronosis there is deficiency of which of the following enzymes?
1. Phenylalanine decarboxylase
2. Homogentisic acid oxidase
3. Alpha ketoglutarate decarboxylase
4. Glucocerebrosidase

Correct answer: 2. Homogentisic acid oxidase

Explanation: The defective enzyme in Ochronosis (Alkaptonuria) is homogentisic acid oxidase in tyrosine metabolism. Homogentisate gets oxidised by polyphenol oxidase to benzoquinone acetate which undergoes polymerization to form a pigment ALKAPTON. Alkapton gets deposited in connective tissues, bones and various organs resulting in condition called OCHRONOSIS.